Which of the following muscle is not a hybrid muscle
1. Pectoralis major
2. Extensor digitorum
3. Flexor digitorum profundus
4. Brachialis

Correct answer: 2. Extensor digitorum

Explanation: Extensor digitorum Hybrid muscles are the muscles having more than one nerve supply Pctoralis major: lateral & medial pectoral nerves Brachialis: additional proprioceptive fibres from radial nerve, in addition to its muscular nerve, musculocutaneous nerve. Extensor digitorum is supplied by the posterior interosseous nerve only.